For a weight of 98 kgs and height of 175 cms, BMI is:
1. 28
2. 32
3. 36
4. 46

Correct answer: 2. 32

Explanation: 32